Wernicke's area is located in ?
1. Inferior frontal gyrus
2. Superior temporal gyrus
3. Inferior temporal gyrus
4. Cingulate gyrus

Correct answer: 2. Superior temporal gyrus

Explanation: Ans. is 'b' i.e., Superior temporal gyrus Wernick's areaIt is located in the posterior end of superior temporal gyrus. It is the site of integration of secondary somatic, Auditory and visual areas. In response to words heard or read and interpreted by the secondary auditory or visual sensory areas, the Wernicke's area formulate ideas (words are planned) for expressive part of the speech and sends signals to the Broca's area arcuate faciculus. So, Wernicke's area is concerned with comprehension. Lesion to this area results in sensory (fluent) aphasia.Broca's area (Area 44)Broca's area is located in the inferior frontal gyrus. It constitutes the center for motor part of speech. It receives information from Wernicke's area and sends it to the motor cortex concerned with control of larynx, lips and tongue for spoken speech and fingers for written speech. Lesions of the Broca's area produce an inability to express onself by spoken speech called motor aphasia or nonfluent aphasia.